Beta phage is seen in:
1. Bacillus anthracis
2. Corynebacterium diphtheriae
3. Clostridium botulinum
4. Peptostreptococci

Correct answer: 2. Corynebacterium diphtheriae

Explanation: Ans. is. 'b' i. e. Corynebacterium diphtheriae